Which of the following is most likely to cause a hypochromic microcytic anemia?
1. Folate deficiency
2. Hereditary spherocytosis
3. Iron deficiency anemia
4. Sickle cell anemia

Correct answer: 3. Iron deficiency anemia

Explanation: Conditions that produce microcytic anemia include iron deficiency, thalassemia minor, anemia of chronic disease, and the anemia produced by erythrocyte fragmentation. Folate deficiency usually produces a macrocytic anemia. Hereditary spherocytosis usually produces an anemia with cells of normal volume. Sickle cell anemia usually produces an anemia with cells of normal volume. Ref: Barrett K.E., Barman S.M., Boitano S., Brooks H.L. (2012). Chapter 26. Digestion, Absorption, & Nutritional Principles. In K.E. Barrett, S.M. Barman, S. Boitano, H.L. Brooks (Eds), Ganong's Review of Medical Physiology, 24e.